NO is synthesized by:
1. Uracil
2. Aspartate
3. Guanosine
4. Arginine

Correct answer: 4. Arginine

Explanation: D i.e. Arginine